Which of the following drugs is an inducer of microsomal enzymes?
1. Erythromycin
2. Isoniazid
3. Ketoconazole
4. Rifampicin

Correct answer: 4. Rifampicin

Explanation: Enzyme Inducers G Griseofulvin P Phenytoin R Rifampicin S Smoking Cell Carbamazepine Phone Phenobarbitone Rifampicin induces the following cytochrome enzymes: CYP3A4 CYP1A2 CYP2C9 CYP2C19